The after coming head of breech, chin to pubis is delivered by :
1. Marcelli technique
2. Burns-Marshall method
3. Lovset's method
4. Manual rotation and extraction by Piper's forceps

Correct answer: 4. Manual rotation and extraction by Piper's forceps

Explanation: Sometimes in Breech presentation, the after coming head rotates posteriorly so that face is behind pubis, this condition is difficult to deliver and is called Chin to pubis rotation In this situation, manual rotation of fetal head and trunk is done as in malar flexion and shoulder traction and then head is delivered with forceps. In case of premature baby, the delivery of head may be completed as face to pubis by reversed malar flexion and shoulder traction or by forceps. Ref: Datta Obs 9e pg 363,Williams Obs 23e pg 537.